Which of the following is not a part of epidemiological triad:
1. Agent
2. Host
3. Disease
4. Environment

Correct answer: 3. Disease